Delayed dentition is usually considered when there are no teeth by the age of?
1. 18 months
2. 9 months
3. 16 months
4. 13 months

Correct answer: 4. 13 months

Explanation: Delayed dentition is usually considered when there are no teeth has erupted by the age of 13 months Normally temporary teeth eruption is completed by 2 to 2.5yr of age